Stage IV endometrial carcinoma, treatment is :
1. Surgery
2. Radiotherapy
3. Chemotherapy
4. Radiotherapy, Chemotherapy and hormonal therapy

Correct answer: 4. Radiotherapy, Chemotherapy and hormonal therapy

Explanation: Radiotherapy, Chemotherapy and hormonal therapy